Global removal of disease agent refers to
1. Disease control
2. Disease elimination
3. Disease eradication
4. Prevent disease

Correct answer: 3. Disease eradication

Explanation: Disease control : Is decrease in incidence of disease, so that it is no more public health problem.
Disease elimination : Complete reduction in incidence of disease in defined geographical area, but organism persists.
Disease Eradication : Global removal of organism.